The gray matter of the primary somatosensory cortex contains six layers of cells. Which layer(s) receive the bulk of incoming signals from the somatosensory nuclei of the thalamus?
1. I
2. II and III
3. III only
4. IV

Correct answer: 4. IV

Explanation: Layer IV of the somatosensory cortex receives the bulk of the input from the somatosensory nuclei of the thalamus. The cerebral cortex contains six layers of neurons, beginning with layer I next to the brain surface and extendingprogressively deeper to layer VI. The incoming sensory signal excites neuronal layer IV first; the signal then spreads toward the surface of the cortex and also toward deeper layers.